Systemic fungal infections can be caused by all the following except
1. Cryptococcus neoformans
2. Histoplasma capsulatom
3. Paracoccidiodes brasiliensis
4. Naegleria fowleri

Correct answer: 4. Naegleria fowleri

Explanation: Naegleria fowleri is a free-living amoeba causing primary amoebic meningoencephalitis. Reference: Textbook of Microbiology; Baveja; 4th edition